Percentage of gallstones which are radiopaque:
1. 10%
2. 20%
3. 30%
4. 40%

Correct answer: 1. 10%

Explanation: Most (90%) gallstones are radioluscent. Most (90%) kidney stones are radiopaque. Most gall stones are cholesterol stones (>90%) are radiolucent